Egg in cup appearance is seen in –
1. TOF
2. MR
3. Constrictive pericarditis
4. Transposition of great vessels

Correct answer: 3. Constrictive pericarditis

Explanation: Egg on side appearance  →  Uncorrected TGA.
Egg in cup appearance    →   Constrictive pericarditis.